The most common mucocutaneous manifestation of Wegener's granulomatosis (WG)?
1. Palpable purpura
2. Papulonecrotic lesions
3. Oral ulcers
4. Vesicles

Correct answer: 1. Palpable purpura

Explanation: The most common cutaneous manifestation of WG is Palpable purpura Others include - Tender subcutaneous nodules Oral ulcers: 2nd MC mucocutaneous lesion Papules Vesicles Petechiae Papulonecrotic lesions